The minimum possible score in “Glasgow coma scale’’ is
1. 3
2. 5
3. 1
4. 0

Correct answer: 1. 3

Explanation: Explanation: Glasgow Coma Scale for Head Injury